Pulsus paradoxus is seen in-
1. Shock
2. Elderly
3. Emphysema/Asthma
4. High output state

Correct answer: 3. Emphysema/Asthma

Explanation: * Pulsus paradoxus describes an exaggeration of the normal variation in systolic arterial blood pressure seen with respiration (normally falls by <10 mm on inspiration). * It is seen in the presence of- Airway obstruction. - Pericardial tamponade. - Massive pulmonary embolism. * Some conditions associated with pulsus paradoxus are - Constrictive pericarditis, -Restrictive cardiomyopathy, - Cardiac tamponade.